The medium of choice for growing most fungi is:
1. Blood agar
2. Tissue culture
3. Sabouraud's agar
4. Thioglycollate medium

Correct answer: 3. Sabouraud's agar